Nieman pick disease is due to deficiency of
1. Sphingomyelinase
2. Ceramidase
3. Galactosidase
4. Glucosidase

Correct answer: 1. Sphingomyelinase

Explanation: Some examples of sphingolipidoses Disease :Niemann-Pick disease Enzyme deficiency: Sphingomyelinase Lipid accumulating Sphingomyelin Clinical symptoms: Enlarged liver and spleen, mental.Ref: Textbook of Medical Biochemistry, Eighth Edition, Dr (Brig) MN Chatterjea, page no: 63 Table 4.2: